Atavism is the resemblance of characteristics to:
1. Mother
2. Father
3. Grandparents
4. Neighbours

Correct answer: 3. Grandparents

Explanation: Ans: c (Grandparents) 2011Ref: Reddy, 29th ed, Pg. 356Atavism is the tendency to revert to ancestral type such as traits reappearing which had disappeared generations before.Atavisms can occur in several ways. One way is when genes for previously existing phenotypical features are preserved in DNA, and these become expressed through a mutation that either knock out the overriding genes for the new traits or make the old traits override the new one.